In humans, end product of purine metabolism
1. Allantoin
2. Uric acid
3. CO2
4. None

Correct answer: 2. Uric acid

Explanation: Question repeated